A 60-year old man with diabetes mieelitus presents with painless, swollen right ankle joint. Radiographs of the ankle show destroyed joint with large number of loose bodies. The most probable diagnosis is -
1. Charcot's joint
2. Clutton's joint
3. Osteoarthritis
4. Rheumatoid arthritis

Correct answer: 1. Charcot's joint